The first urge to void is felt at:
1. Bladder volume of 400 mL
2. Phase Ia of cystometrogram
3. Phase Ib of cystometrogram
4. Phase II of cystometrogram

Correct answer: 3. Phase Ib of cystometrogram

Explanation: Cystometry refers to the process of studying the relationship between the intravesical volume and pressure, the Cystometrogram refers to a graphical record of this relationship. Normal cystometrogram shows three phases of filling: Phase Ia: It is the initial phase of filling in which pressure rises from 0 to 10 cm H2O, when about 50 mL of fluid is collected in the bladder Phase Ib: It is the phase of plateau which lasts till the bladder volume is 400 mL. The first urge to void is felt at a bladder volume of about 150 mL, and a marked sense of fullness at about 400mL. The flatness of segment Ib is a manifestation of the law of Laplace. Phase II: This phase starts beyond 400 mL volume when the pressure begins to rise markedly, triggering the micturition reflex